Most common subtype of Rodent ulcer is:
1. Superficial
2. Cystic
3. Nodular
4. Pigmented

Correct answer: 3. Nodular

Explanation: Rodent ulcer is also known as basal cell carcinoma of the skin, or tear cancer which is a slow-growing type of cancer. Types of Rodent ulcers: Nodular (90%) (MC) Pigmented Cystic Superficial The most common type being nodular which has characteristic pearly whitenodules in the periphery with centralumbilication and telangiectatic vessels. Risk factor includes ultraviolet radiation